Angular cheilosis is frequently associated with deficiency of:
1. Thiamine
2. Riboflavin
3. Niacin
4. Folic acid

Correct answer: 2. Riboflavin